The deoxidizing agent added to dental alloys is
1. Palladium
2. Silver
3. Copper
4. Zinc

Correct answer: 4. Zinc